Which of the following test is used to estimate the amount of feto-maternal hemorrhage?
1. Coombs' test
2. Kleihauer Betke test
3. Lily's spectrophotometer
4. Schrill's test

Correct answer: 2. Kleihauer Betke test

Explanation: Ans. B. Kleihauer Betke testKleihauer-Betke test is used to estimate amount of fetal maternal hemorrhage. A maternal blood sample is treated with an acid-dilution procedure allowing identification of fetal blood cells. Comb's test prenatal detection of antibodies (Rh) in Rh negative mother as a screening test. Liley spectrophotometer is used in plotting amniotic fluid bilirubin in case of Rh sensitized mother after Amniocentesis. Shrill test:- Cervical biopsy test in suspected Ca cervix. Gram iodine is used as a Steiner. Healthy' tissue stains brown while carcinomatous are a remains unstained.